Gallbladder adenocarcinoma involving lamina propria and muscular layer. What is the preferred treatment
1. Simple cholecystectomy
2. Radical cholecystectomy
3. Chemotherapy
4. Radiotherapy

Correct answer: 2. Radical cholecystectomy

Explanation: Radical cholecystectomy -removing gallbladder+liver segments 4b and 5+lymph nodes along hepatoduodenal ligament.